A patient came with history of fall and on examination there was tenderness between the extensor pollicis longus and brevis. The likely lesion is
1. Scaphoid fracture
2. 1st metacarpal fracture
3. Lower end of radius fracture
4. Trapezoid fracture

Correct answer: 1. Scaphoid fracture

Explanation: (A) Scaphoid fracture # Appearance of Scaphoid fracture may be deceptively normal, but the astute observer can usually detect fullness in the anatomical snuffbox; precisely localized tenderness in the same place is an important diagnostic sign; the scaphoid can of course also be palpated from the front and back of the wrist and it may be tender there as well.> Proximal pressure along the axis of the thumb may be painful